All of the following statements are false EXCEPT:
1. Right ventricle work more than left ventricle
2. Left ventricle works more than right ventricle
3. Both ventricle work equal
4. Maximum ventricular filing occurs in isovolumetric contraction

Correct answer: 2. Left ventricle works more than right ventricle

Explanation: Ans. B Left ventricle works more than right ventricleRef: Guyton Physiology, 11th ed. pg. 110* Right ventricular external work output is normally about one sixth the work output of the left ventricle because of the six-fold difference in systolic pressures that the two ventricles pump.